Brinzolamide is a
1. Highly specific irreversible and noncompetitive carbonic anhydrase inhibitor
2. Highly specific irreversible and competitive carbonic anhydrase inhibitor.
3. Highly specific reversible and competitive carbonic anhydrose inhibitor
4. Highly specific reversible and non-competitive carbonic anhydrase inhibitor.

Correct answer: 4. Highly specific reversible and non-competitive carbonic anhydrase inhibitor.

Explanation: Ans is 'd' i.e. Highly specific reversible and noncompetitive carbonic anhydrase inhibitor o Carbonic anhydrase inhibitors act by a non-competitive, reversible inhibition of the enzyme carbonic anhydrase. o Brinzolamide is a highly .specific inhibitor of carbonic anhydrase II (CA II), which is the main carbonic anhydrase isoenzyme involved in the secretion of aqueous humour. o Inhibition caused by brinzolamide is reversible and non-competitive.